The pathognomonic finding in miliary TB is which of the following?
1. Bone marrow infiltrations
2. Choroid tubercles
3. Miliary mottling in chest X-Ray
4. Histological finding in liver biopsy

Correct answer: 2. Choroid tubercles

Explanation: Eye examination may reveal choroidal tubercles, which are pathognomonic of miliary TB, seen in up to 30% of cases. Reference: Harrisons Principles of Internal Medicine, 18th Edition, Page 1349